Treatment of stage II carcinoma anal canal:
1. APR
2. APR followed by chemoradiation
3. Concurrent chemoradiation
4. Neoadjuvant chemotherapy followed by Surgery

Correct answer: 3. Concurrent chemoradiation

Explanation: Anal Canal Carcinoma- - NIGRO regimen - Chemotherapy followed by radiation * 5- fluorouracil + Mitomycin-C followed by radiation